Following are examples of privileged communication except
1. Veneral diseases
2. Infections diseases
3. Notifiable disease
4. Non communicable disease

Correct answer: 4. Non communicable disease

Explanation: Privileged communication veneral disease Infectious diseases Notifiable disease In patient's interest Suspected crime Cous of law Insurance reports Ref: FORENSIC MEDICINE AND TOXICOLOGY Dr PC IGNATIUS THIRD EDITION PAGE 384